Synonym for Hailey Hailey disease is:
1. Cicatricial pemphigoid.
2. Benign mucous membrane pemphigoid.
3. Familial benign pemphigus.
4. Paraneoplastic pemphigus

Correct answer: 3. Familial benign pemphigus.